Myelin sheath in CNS is synthesized by :
1. Microglia
2. Schwann cell
3. Oligodendroglia
4. All

Correct answer: 3. Oligodendroglia

Explanation: C i.e. 011godendrocyte